Absorption of all occurs in PCT except
1. PO4
2. Glucose
3. HCO3-
4. H+

Correct answer: 4. H+

Explanation: In PCT there is maximum secretion of H+, around 4200 mEq/day Ref: Ganong -23rd edition, Page 665